Dicrotic notch is caused by
1. Closure of mitral valve
2. Opening of mitral valve
3. Closure of aortic valve
4. Opening of aortic valve

Correct answer: 3. Closure of aortic valve

Explanation: Closure of aortic and pulmonary valve causes a characteristic notch called dicrotic notch or incisura in pulse wave tracing Ref : Ganong 25th ed/page 540